High risk HPV includes:a) Type 16b) Type 18c) Type 11d) Type 12
1. ab
2. a
3. ad
4. bc

Correct answer: 1. ab